Gingival crevicular fluid is measured using:
1. Whatman's filter paper
2. Ph paper
3. Mylar strip
4. Litmus paper.

Correct answer: 1. Whatman's filter paper